Japanese encephalitis is caused by -
1. Culex
2. Flavi virus
3. Pigs
4. None

Correct answer: 2. Flavi virus

Explanation: Japanese encephalitis is a mosquito borne disease caused by group B arbovirus ie Flavivirus and transmitted by culcine mosquitoes.Pig is the major vertebral host of JE virus Reference; Park's Textbook of preventive and social medicine, 24th edition.Pg no.302